Most of the viral infections present as
1. Conjunctivitis
2. Keratitis
3. Keratoconjunctivitis
4. None of the above

Correct answer: 3. Keratoconjunctivitis

Explanation: (Refer: AK Khurana Comprehensive Ophthalmology, 6th edition, pg no. 74 - 75)*Most of the viral infections tend to affect the epithelium, both of the conjunctiva and cornea. So, the typical viral lesion is a Keratoconjunctivitis*Causes of viral conjunctivitis are:- HSV adenovirus, Picornavirus (enterovirus-70, Coxsackievirus A24), Measles (myxovirus), VZV, Paramyxovirus (mumps, Newcastle conjunctivitis), Molluscum conjunctivitis